You are planning a screening program for a particular disease in your community. Which of the following is the MOST cost effective method of screening?
1. Multiphasic screening
2. Mass screening
3. High risk screening
4. Any of the above

Correct answer: 3. High risk screening

Explanation: High risk screening is the most productive as it is done on the high risk groups. Here there is proper utilisation of resources. Mass screening involves the whole population, so it is done in the entire population irrespective of the risk. In multiphasic screening 2 or more screening test for a single disease is used for the entire population. It increase the cost of the services with no added sensitivity. Ref: Park, Edition 21, Page - 123.